Vegans are those who -
1. Eat both dairy products and eggs
2. Eat dairy products but not eggs
3. Eat eggs but not dairy products
4. Neither eat dairy products nor eggs

Correct answer: 4. Neither eat dairy products nor eggs

Explanation: Ans. is 'd' i.e., Neither eat dairy products nor eggs Vegetarionso Vegetarions are divided into three groups -A) Vegans (Vegan vegetarians)# Vegans do not eat any animal or dairy products like meat, fish, cheese or leather.# The get all the proteins from cereals, nuts and seeds.B) Lacto Vegetarians# These people eat dairy products but not eggs.C) Lacto-ovo Vegetarians# These people eat dairy products and eggs.